Epithelium of nasal, tracheal and Nasopharyngeal mucosa histologically resembles:
1. Stratified columnar epithelium.
2. Pseudostratified epithelium.
3. Stratified cilliated epithelium.
4. None.

Correct answer: 2. Pseudostratified epithelium.

Explanation: Histologically these are pseudostratified epithelium.